All are true regarding Laryngomalacia except -
1. Poor prognosis
2. Most common congenital abnormality
3. Stridor with cyanosis
4. Gets relieved in prone position

Correct answer: 1. Poor prognosis